Which of the following flavi virus is closely related to Russian spring summer encephalitis causing virus
1. Dengue
2. Chikungunya
3. Yellow fever
4. KFD

Correct answer: 4. KFD